Lamivudine acts at which of the following enzymes?
1. DNA polymerase
2. Reverse transcriptase
3. Both of the above
4. None of the above

Correct answer: 3. Both of the above

Explanation: Lamivudine inhibits HBV DNA polymerase and HIV reverse transcriptase by competing with deoxycytidine triphosphate for incorporation into the viral DNA, resulting in chain termination. Lamivudine achieves 3-4 log decreases in viral replication in most patients and suppression of HBV DNA to undetectable levels in about 44% of patients. Ref: Katzung 11th edition Chapter 49.